A patient admitted at 29 weeks of pregnancy with jaundice and severe pre eclampsia, BP 170/110, urine albumin 3+. Blood investigations reveal Hb=7gm%, platelet count=70,000, TLC=13,000, SGOT=230, bilirubin=2 mg/dL, INR=2. Diagnosis is?
1. Acute Cholecystitis
2. HELLP syndrome
3. Hepatic rupture
4. IHCP

Correct answer: 2. HELLP syndrome

Explanation: HELLP syndrome Complication of pre eclampsia Characterized by Hemolytic anemia, Elevated Liver enzymes, Low Platelets Management: platelet transfusion, management of pre eclampsia and termination of pregnancy Presence of HELLP classifies pre eclampsia as severe pre eclampsia Hepatic rupture is a rapid catastrophic event which frequently results in a mortality